All of the following statements about the medical management in otosclerosis using sodium flouride are true, EXCEPT:
1. Acts by inhibiting proteolytic enzymes in cochlea
2. Acts by inhibiting osteoblastic activity
3. Is contraindicated in chronic nephritis
4. Is indicated in patients with a positive Schwartze sign

Correct answer: 2. Acts by inhibiting osteoblastic activity

Explanation: Sodium fluoride in osteosclerosis increases osteoblastic bone formation and does not inhibit. All the other options are true. There are numerous marrow and vascular spaces with plenty of osteoblasts and osteoclasts in immature active lesions. Taking oral sodium fluoride can stabilize the hearing loss associated with otosclerosis in about 80% of patients. This reduces bone absorption and enhances the calcification of new bone, essentially stopping further progression of otosclerotic damage. Sodium fluoride can also reduce tinnitus and any symptoms of imbalance.